Most common complication after splenectomy is ?
1. Chest infection
2. Hematemesis
3. Subphrenic collection
4. Acute dilation of stomach

Correct answer: 1. Chest infection

Explanation: Ans. is 'a' i.e., Chest infection Most common complication after splenectomy is left lower lobe atelactasis. Atelactasis predisposes to chest infections.